Damage to median nerve produces:
1. Claw hand
2. Winging of scapula
3. Ape thumb
4. Wrist drop

Correct answer: 3. Ape thumb

Explanation: Ape thumb: Due to paralysis of opponens pollicis brevis and thenar eminence atrophy. 2. Winging of scapula which is caused due by injury to the long thoracic nerve or nerve to the serratus anterior, causing weakness of the serratus anterior muscle. When the patient is asked to push against a wall with both hands, medial border of the scapula on the affected side becomes prominent and this is known as 'winging of scapula.'